Drug useful in chloroquine resistant malaria is
1. Mefloquine
2. Proguanil
3. Pyrimethamine
4. Primaquine

Correct answer: 1. Mefloquine

Explanation: Mefloquine is effective against chloroquine resistant Plasmodium falciparum.